Ligamentum teres is formed from :
1. Umbilical Artery
2. Umbilical Vein
3. Urachus
4. Persistent vitellointestinal duct

Correct answer: 2. Umbilical Vein

Explanation: Umbilical Vein